All of the following are signs of death, EXCEPT:
1. Insensibility and loss of movement
2. Absent heart sounds
3. No respiratory movements
4. Suspended animation

Correct answer: 4. Suspended animation

Explanation: Suspended animation (apparent death): In this condition signs of life are not found, as the functions are interrupted for some time, or are reduced to minimum. However, life continues and resuscitation is successful. The metabolic rate is so reduced that the requirement of individual cell for oxygen is satisfied through the use of oxygen dissolved in body fluids. Suspended animation may be produced voluntarily. Suspended animation is seen in, Newborn infants Drowning Electrocution Sunstroke Cholera After anaesthesia Shock Cerebral concussion Insanity Ref: The Essentials of Forensic Medicine and Toxicology by Dr K. S.Narayan Reddy, 27th edition, Page 134.